Thayer martin is selective medium for:
1. Neisseria gonorroheae
2. Streptococcus pyogenes
3. Streptococcus agalactiae
4. Streptococcus pneumoniae

Correct answer: 1. Neisseria gonorroheae

Explanation: Ref: A nan thano rayan, Paniker CJ. Textbook of Microbiology. 6th Ed. London: John Wiiey cPS Sons; 2000.Explanation:Thayer Martin medium is the selective medium for Neisseria gonorrhoeae.There are no specific selective media for Streptococcus pyogenes, Streptococcus agalactiae and Streptococcus pneumoniae.All these three organisms are fastidious and are therefore usually cultured on blood agar/ chocolate agar.